Structure passing along the aorta in the diaphragmatic opening :
1. Thoracic duct
2. Sympathetic duct
3. Greater splanchnic nerve
4. Lesser splanchnic nerve

Correct answer: 1. Thoracic duct

Explanation: A. i.e. Thoracic duct